In the management of leprosy, Lepromin test is most useful for
1. Herd Immunity
2. Epidemiological investigations
3. Prognosis
4. Treatment

Correct answer: 3. Prognosis

Explanation: Uses of Lepromin test:
- Evaluation of CMI status of patients
- Aid to confirm the classification of Leprosy
- Estimation of prognosis of cases